The advantage of silver point as obturating material is
that it
1. Can be used in fine tortuous canals
2. Is easier to retrieve if retreatment becomes necessary
3. Gives a perfect seal at the apical 1/3rd of the root canal
4. Provides better adaptation to canal walls compared to GuttaPercha

Correct answer: 1. Can be used in fine tortuous canals